Complication of chronic Lichen planus
1. Dermatofibroma
2. Malignant melanoma
3. Basal cell carcinoma
4. Squamous cell carcinoma

Correct answer: 4. Squamous cell carcinoma

Explanation: The complication of chronic lichen planus squamous cell carcinoma "Squamous cell carcinoma developing on oral lesions is uncommon but a potential danger, especially in ulcerated lesions" "There are reports of metastatic squamous cell carcinoma arising from long-standing lesions of hypertrophic LP. Majority in lesions on the distal extremities Ref Harrison 20th edition pg 1256